Antigen presented along with HLA-ll stimulates
1. CD8 cells
2. CD4cells
3. CD2 cells
4. CD19 cells

Correct answer: 2. CD4cells

Explanation: Ref Robbins 9/e p195 Class II MHC molecules are encoded by genes in the HLA-D region, which contains at least three subregions: DP, DQ, and DR. Class II MHC molecules are heterodi- mers of noncovalently linked polymorphic a and b sub- units (Fig. 4-3). The extracellular portion of the class II MHC heterodimer contains a cleft for the binding of antigenic peptides and a region that binds CD4. Class II MHC expression is restricted to a few types of cells, mainly APCs (notably, dendritic cells ), macro- phages, and B cells. In general, class II MHC molecules bind to peptides derived from proteins synthesized outside the cell (e.g., those derived from extracellular bacteria) and ingested into the cell. This property allows CD4+ T cells to recognize the presence of extracellular pathogens and to orchestrate a protective response.